A 46-year-old male, Jorawar Singh presented to the emergency with muscle weakness and cramping. He has been taking hydrochlorothiazide for recently diagnosed hypertension. Which of the following is the most likely cause of his symptoms?
1. Hypocalcemia
2. Hyponatremia
3. Hypokalemia
4. Hypoglycemia

Correct answer: 3. Hypokalemia

Explanation: A decrease in the intravascular fluid volume stimulates aldosterone secretion and leads to increased excretion of potassium and hydrogen ions in the urine. This results in hypokalemic metabolic alkalosis, which is a common side effect of most diuretics other than the potassium-sparing class. Hypokalemia manifests with muscle weakness and cramping.